Hematocolpos is seen in:
1. Septate uterus
2. Bicornuate uterus
3. Unicornuate uterus
4. Imperforate hymen

Correct answer: 4. Imperforate hymen

Explanation: Hematocolpos is defined as vagina filled with blood which is seen in imperforate hymen. Hematometra is defined as collection (or) retention of blood in the uterus. NOTE: hematocolpos may also be seen in other vertical fusion defects causing obstruction to menstrual blood outflow like transverse vaginal septum but not in any lateral fusion defects as mentioned in the question.